A young asymptomatic female is observed to have a Midsystolic Click on routine examination. Valves are likely to show
1. Myxomatous degeneration
2. Aschoff bodies
3. Calcific degeneration
4. Ruptured chordae tendinae

Correct answer: 1. Myxomatous degeneration

Explanation: Answer is A (Myxomatous degeneration) Presence of midsystolic click in an asymptomatic female suggests a diagnosis of Mitral Valve Prolapse (MVP). MVP is associated with myxomatous degeneration of the mitral valves. Ruptured chordae tendinae may be seen in MVP but these patients are usually symptomatic with significant Regurgitation (MR).